Following hormones are produced by endocrinal part of pancreas:
1. Insulin
2. Somatostatin
3. Glucagons
4. All

Correct answer: 4. All

Explanation: A i.e. Insulin; B i.e. Somatostatin; C i.e. Glucagon